Which of the following is the order of activation after stimulation of Purkinji fibrs is :
1. Septum -> Endocardium -> Epicardium
2. Endocrdium -> Septum -> Epicardium
3. Epicardium -> Septum -> Endocardium
4. Septum -> Epicardium -> Endocardium

Correct answer: 1. Septum -> Endocardium -> Epicardium

Explanation: Ans. is 'a' is Septum - Endocardium - Epicardium Order of spread of cardiac excitationSA node - AV node - Bundle of HIS* - Purkinje system* - Ventricular muscle.SA node - AV node - Bundle of HIS* - Purkinje system* - Ventricular muscle.Order of activation of ventricular muscle.Depolarization starts of the left side of the interventricular septum* - Moves first to the right across the mid portion of the septum* - Activation of anteroseptal region of the ventricular myocardium (Apex).- Activation of the major portion of ventricular myocardium from the endocardium to the epicardium.Last parts of the heart to be depolarized ar? the postero basal portion of the left ventricle *The pulmonary conus *Upper most portion of the septum*